glomus tumor is seen
1. Retroperitonium
2. Soft tissue
3. Distal portion of digits
4. Proximal portion of digits

Correct answer: 3. Distal portion of digits

Explanation: Glomus tumor is biologically a benign tumor that arises from the modified smooth muscle cells of the glomous body Glomus body is a specialised arteriovenous anastomosis that is involved in thermoregulation It is a often painful tumor Glomus tumor are most commonly found in distal portion of the digits especially under fingernails Excision is curative Refer robbins 9/e p517